Which of the following is not an objective of beveling finish line?
1. Cast metal can be burnished
2. Prevents weak enamel from chipping
3. To minimize marginal discrepancy while crown seating
4. To ensure proper recording during impression

Correct answer: 4. To ensure proper recording during impression

Explanation: The objective in beveling is threefold:

To allow the cast metal margin to be bent or burnished against the prepared tooth structure;
To minimize the marginal discrepancy caused by a complete crown that fails to seat completely (however, Pascoe has shown that when an oversized crown is considered, the discrepancy is increased rather than decreased; and
To protect the unprepared tooth structure from chipping (e.g., by removing unsupported enamel)